All the following are branches of Internal thoracic artery except
1. Pericardioco-Phrenic artery
2. Posterior Intercostal arteries
3. Superior Epigastric artery
4. Musculophrenic artery

Correct answer: 2. Posterior Intercostal arteries

Explanation: Branches of the Internal thoracic artery are Pericardiacophrenic arteryMediastinal arteriesAnterior intercostal arteriesPerforating branches (In the female, the perforating branches in the second, third and fourth spaces are large and supply the breast)Superior epigastric arteryMusculophrenic arteryReference: Vishram Singh Anatomy; 2nd edition; Page no: 222